Which of the following i.v anaesthetic agent suppresses cortisol synthesis
1. Propofol
2. Ketamine
3. Etomidate
4. Thiopentone

Correct answer: 3. Etomidate

Explanation: Etomidate is known to cause adrenocortical suppression on long term infusion.